Delayed hypersensitivity reaction is mediated by ?
1. B lymphocyte
2. NK cell
3. Mast cell
4. T lymphocyte

Correct answer: 4. T lymphocyte

Explanation: Ans. is 'd' i.e., T lymphocytes